A 61-year-old male with a history of chronic arthritis complains of pronounced tinnitus. He also has some dizziness, with headache. Physical examination reveals some scattered petechiae over the upper extremities. At stool guaiac test result is positive. Which of the following drug toxicities best explains these findings -
1. Penicillin
2. Tetracycline
3. Aspirin
4. Chlorpromazine

Correct answer: 3. Aspirin